In which of the following conditions Parakeratosis most frequently occurs-
1. Actinic Keratoses
2. Seborrheic Keratoses
3. Molluscum contagiosum
4. Basal cell carcinoma

Correct answer: 1. Actinic Keratoses

Explanation: Parakeratosis refers to retention of nuclei in horny layer. In actinic keratosis there is multiple, erythematous , irregular, rough, macules or papules with dry adherent scales. Sometimes as cutaneous horn. Surrounding skin photodamaged. Ref Harrison20th edition pg 1236